A pregnant lady at 32 weeks' gestation period presents with a BP of 160/110 mm Hg, Proteinuria with Retinal Hemorrhage What is the Definitive Management of choice in this case?
1. Ritodrine
2. Nifedipine
3. Magnesium sulphates
4. Termination of pregnancy

Correct answer: 4. Termination of pregnancy

Explanation: Ans. D. Termination of pregnancyPatient presents with the characteristics of Severe Hypertension indicating delivery.Induction of labor is the best suited management of choice.Magnesium Sulfate prophylaxis should be provided to prevent the onset of seizures.Severe pre-eclampsia can be characterized as:* Pulmonary edema* BP >160/110* Fetal growth restriction* >-3+ proteinuria* Complaints of convulsion, headache, upper abdominal pain, oliguria and visual disturbances* Increased levels of serum creatinine, serum transaminase or presence of thrombocytopenia